All are true about Modern Xray tube except?
1. It has a rotatory Cathode.
2. Heat loss is mainly By Radiation.
3. Rhenium is added to tungsten target at Anode.
4. Chief source of Xray generation is by Bremstrahlung effect.

Correct answer: 1. It has a rotatory Cathode.

Explanation: - Modern X ray tube has a rotatory anode. - Motor is attached to the Anode to make it rotatory. - The Cathode is made of Tungsten alloyed with Thorium. - The Target of Anode is made of Tungsten Alloyed with Rhenium. - The major source of X RAY Generation in Modern X ray tube is Bremstrahlung Radiation/Braking Radiation.